The gene for Wilson's disease is on -
1. Long arm of Chromosome 13
2. Long arm of Chromosome 6
3. Short arm of Chromosome 13
4. Short arm of Chromosome 6

Correct answer: 1. Long arm of Chromosome 13

Explanation: Ans. is 'a' i.e., Long arm of Chromosome 13